Which of the following agents is recommended as first line drug for treatment of gastrointestinal stromal tumors (GIST)?
1. Sorafenib
2. Geftinib
3. Imatinib
4. Erlotinib

Correct answer: 3. Imatinib

Explanation: Imatinib is drug of choice for GIST. Imatinib resistant cases can be treated with sunitinib. Tumors resistant to both imatinib and sunitinib are treated with regorafenib.